The most common site for squamous cell carcinoma in oral cavity is -
1. Tongue
2. Floor of mouth
3. Upper and lower alveolus
4. Buccal mucosa

Correct answer: 1. Tongue

Explanation: "The tongue is the most common site in the oral cavity, followed by the floor of mouth, lip, gingival and retromolar trigone".
─ Radioguided surgery.